Most commonly varicose veins are seen in
1. Short saphenous vein
2. Long saphenous vein
3. Popliteal vein
4. None of the above

Correct answer: 2. Long saphenous vein

Explanation: The usual distribution of varicose veins is below the knee in branches of the greater saphenous system.